The main action of muscle "Gamellius" is?
1. Medial rotation of thigh
2. Lateral rotation of thigh
3. Gluteus maximus
4. Gluteus medius and minimus

Correct answer: 2. Lateral rotation of thigh

Explanation: Gemellus muscle laterally rotates the femur at the hip joint. Superior gemellus muscle: Attaches proximally at the ischial spine; distally, the muscle attaches on the greater trochanter of the femur. The nerve to the obturator internus and superior gemellus muscles (L5, S1, S2) innervates this muscle.Inferior gemellus muscle: Attaches proximally on the ischial spine; distally, the muscle attaches at the greater trochanter of the femur. The nerve to the inferior gemellus and quadratus femoris muscles (L4, L5, S1) innervates this muscle.